Vitamin also acting as hormonea) Vitamin Db) Vitamin Ac) Vitamin B1d) Vitamin C
1. ac
2. a
3. ab
4. bc

Correct answer: 3. ab

Explanation: Vitamin A and vitamin D are actually hormones which act on intracellular receptors (steroid receptor family).